EBV is implicated in following, except:
1. Burkits lymphoma
2. Infectious mononucleosis
3. Slow virus disease
4. Lymphoma

Correct answer: 3. Slow virus disease

Explanation: Slow virus disease